Mucosal lining of fallopian tube secretion for ovum nutrition controlled by -
1. LH
2. FSH
3. Estrogen
4. Progesterone

Correct answer: 4. Progesterone

Explanation: Ans. D. ProgesteroneThe secretions of the fallopian tube are a mode of nutrition to the developing zygote till, it reaches uterus and placenta forms.Progesterone increases the secretion of the fallopian tube mucous membrane and. abort causes hyperplasia of the muscular lining of the fallopian tube and makes its peristaltic movements stronger